Shower of golden rain appearance in synchisis scintillans is due to
1. Calcium bodies
2. Cholesterol crystals
3. Iron deposition
4. Copper deposition

Correct answer: 2. Cholesterol crystals

Explanation: Shower of golden rain is due to cholestrol crytals in vitreous cavity.